Conditions Which are relatively contraindicated for vacuum extractions are all; EXCEPT:
1. Face presentation
2. Extreme prematurity
3. Fetal coagulopathies
4. Occipito-posterior position

Correct answer: 4. Occipito-posterior position

Explanation: Vacuum avoids insertion of steel blades within the vagina, and provides the ability to rotate the fetal head without impinging upon maternal soft tissues and less intracranial pressure during traction. The relative contraindication are (1) face or other non vertex presentation (2) extreme premautrity (3) fetal coagulopthies (4) known macrosomia (5) following recent scalp blood sampling.